Shaswat, A67-year-old male comes to the physician's office complaining of severe pain in the right foot with paleness of right toe. The patient had a history of receiving unfractionated heparin 7 days back. The hemogram of the patient is as shown below: Hb 13.2 g/dL WBC 10000/mm3 Platelet 50000/mm3 Which of the following should be used to treat this condition?
1. High dose of Heparin
2. Platelet infusions
3. Argatroban
4. Warfarin

Correct answer: 3. Argatroban

Explanation: (Ref: Katzung 11/e p592) It is a case of heparin induced thrombocytopenia (HIT). Four 'T' are used to suspect the diagnosis of HIT: Hrombocytopenia Timing of heparin administration (5-14 days) before developing thrombocytopenia Thrombosis OTher causes of thrombocytopenia not evident. DOC for HIT is direct thrombin inhibitors like argaroban.